Major sources of androgen in females are all except :
1. Adrenals
2. Ovaries
3. Peripheral conversion to androgen precursors in the liver, gastrointestinal tract and adipose tissue
4. Corpus luteum

Correct answer: 4. Corpus luteum

Explanation: Androgen Production in Females Testosterone Androstenedione DHEA DHEA-S Ovary 25% 50% 20% Adrenal Cortex 25% 50% 50% 100% Androstenedione 50% DHEA-S 30% 50% of Androstenidione is peripherally converted to testosterone Testosterone is 80% bound to SHBG and 19% to Albumin, hence only 1% is free and active In Hirsute women 2% free and active In Men 3% free and active Ref: Clinical Gynecologic Endocrinology and Infertility; Eighth Edition; Chapter 13